Which of the following endocrine tumors is most commonly seen in MEN I
1. Insulinoma
2. Gastrinoma
3. Glucagonoma
4. Somatostatinoma

Correct answer: 2. Gastrinoma

Explanation: Ans. is 'b' i.e., Gastrinoma